Food poisoning in canned food is caused by?
1. Staphylococcus
2. Salmonella
3. Clostridium botulinum
4. Bacillus cereus

Correct answer: 3. Clostridium botulinum

Explanation: ANSWER: (C) Clostridium botulinumREF: Harrison s 18th ed chapter 141See APPENDIX-22 for "ACUTE INFECTIOUS DIARRHEA"The temperatures obtained in open kettle canning are not high enough to destroy all spoilage and food poisoning organisms that may be in the food.Food-borne botulism is caused by consumption of foods contaminated with botulinum toxin, which is a metabolic waste produced under anaerobic condition by the bacterium Clostridium botulinum. Most botubsm cases are sporadic; outbreaks are typically small, involving two or three cases. The wide variation in reported rates of botulism by region and continent probably reflects differences both in true incidence and in diagnostic and reporting capacity. Worldwide, the highest incidence rate is reported from the Republic of Georgia and Armenia in the southern Caucasus region, where illness is associated with risky home-canning practices